Lisch nodule is seen in?
1. Tuberous sclerosis
2. Sturge-Weber syndrome
3. Neurofibromatosis
4. Wilson disease

Correct answer: 3. Neurofibromatosis

Explanation: c. Neurofibromatosis(Ref: Nelson's 20/e p 2874, Ghai 8/e p 586)Important clinical features of Neurofibromatosis (NF1) are cafe-au-lait spots, neurofibromas, axillary freckling, Lisch nodules optic glioma and positive family history